Most frequent epithelial tumors of ovary:
1. Papillary serous cystadenoma
2. Brenners
3. Endometrioid
4. Mucinous cyst adenoma

Correct answer: 1. Papillary serous cystadenoma

Explanation: Ans. (a) Papillary serous cystadenomaRef. William's Gynecology, Ch 35; Epithelial tumors of ovaryEpithelial Ovarian Tumor Cell Types (Katz: Comprehensive Gynecology, 5th ed.) Approximate Frequency (%) Ovarian CancersSerous35-40Mucinous6-10Endometrioid15-25Clear cell (mesonephroid)5-10BrennerRareSEROUS TUMORS* Serous tumors are the most frequent ovarian epithelial tumors. The malignant forms account for 40% or more of ovarian cancers.* During frozen section evaluation, psammoma bodies are essentially pathognomonic of an ovarian-type serous carcinomaMUCINOUS ADENOCARCINOMAS* About 5 to 10 percent of true epithelial ovarian cancers are mucinous adenocarcinomas* These cells resemble cells of the endocervix or may mimic intestinal cells, which can pose a problem in the differential diagnosis of tumors that appear to originate from the ovary or intestine.ENDOMETRIOID ADENOCARCINOMAS* About 15 to 25 percent of epithelial ovarian cancers are endometrioid adenocarcinomas, the second most common histologic type.CLEAR CELL TUMORS* Comprising 5 to 10 percent of epithelial ovarian cancers, clear cell adenocarcinomas are the most frequently associated with pelvic endometriosis.* Microscopically hobnail cells are characteristic finding. These are cells with abundant glycogen and nuclei of the cells protrude into the glandular lumen.BRENNER TUMOR* These tumors constitute only 2% to 3% of all ovarian tumors.* Brenner tumors consist of cells that resemble the transitional epithelium of the bladder and Walthard nests of the ovary.